Shiga toxin acts by ?
1. Activating adenylyl cyclase to increase cAMP
2. Activating guanylyl cyclase to increase cGMP
3. Inhibiting protein synthesis
4. Inhibiting DNA replication

Correct answer: 3. Inhibiting protein synthesis

Explanation: Ans. is 'c' i.e., Inhibiting protein synthesis